A 30 year old male came to OPD with complaints of having bad dream. He got up scared and experiences signs of anxiety like tachycardia, sweating. He is able to recall the episode. The most likely diagnosis is
1. Night terror
2. Night mare
3. Narcolepsy
4. Nyctophobia.

Correct answer: 2. Night mare

Explanation: As the patient is able to recall the episode, it is a REM phase disorder, i.e Night mare.